Pericoronitis is seen in relation to
1. Impacted third molars only
2. Around incompletely erupted crown
3. Completely erupted crowns only
4. None of the above

Correct answer: 2. Around incompletely erupted crown